IUGR is seen in
1. Rubella
2. Syphilis
3. CMV
4. All

Correct answer: 4. All

Explanation: Ans. is a,b, and c i.e. Rubella; syphilis; CMV